All are true about polio vaccines except
1. OPV is live attenuated vaccine
2. IPV Provides Intestinal immunity
3. IPV is killed formalised vaccine
4. OPV is effective than IPV during Epidemics

Correct answer: 2. IPV Provides Intestinal immunity